The most common organism causing osteomyelitis is
1. E, coli
2. Pseudomonas
3. Klebsiella
4. Staph aureus

Correct answer: 4. Staph aureus

Explanation: The most common organism in osteomyelitis in intravenous drug users is staphylococcus aureus. Pseudomonas aeruoginosa an otherwise unusual cause of osteomyelitis, is the second most frequently observed microorganism Refer Maheshwari 6th/e p 168